Which of the following cranial nerve is a pure motor nerve?
1. 3
2. 5
3. 8
4. 9

Correct answer: 1. 3

Explanation: Pure sensory 1-olfactory 2-optic 8-vestibulocochlear Pure motor 3-oculomotor 4-trochlear 6-abducent 11-accessory 12-hypoglossal Mixed 5-trigeminal 7-facial 9-glossopharyngeal 10-vagus